Drug of choice for treatment of Alzhiemer's disease is:
1. Donepezil
2. Atropine
3. Physostigmine
4. Fluoxetine

Correct answer: 1. Donepezil

Explanation: Drug of choice for treatment of Alzhiemer's disease is: Donepezil Atropine is DOC for organophosphate poisoning Physostigmine is DOC for atropine poisoning Fluoxetine is DOC for depression AcHE inhibiting drugs Donepezil Rivastigmine Galantamine